BMR is decreased in:
1. Cold temperature
2. Hyperthyroidism
3. Exercise
4. Hypothyroidism

Correct answer: 4. Hypothyroidism

Explanation: Ref: Multiple SourcesExplanation:"Both increase (Fever) and decrease (hypothermia) in body temperature increases basal metabolic rate. " Ref. HarperFactors affecting Basal Metabolic rate (BMR)Increased BMRDecreased BMR* Male sex* Children* Pregnancy* Thyroxine* Testosterone* Growth hormone* Fever* Hypothermia* Stress* Female sex ( due to more fat)* Old age-decrease in muscle mass* Sleep - upto 10 - 15% due to decreased lone of skeletal muscles and decreased activity of CNS* Malnutrition* Starvation